Diameter of head mirror
1. 3 inches
2. 3.5 inches
3. 2.5 inches
4. 9 mm

Correct answer: 2. 3.5 inches